Herring body is seen in
1. Pars intermedia
2. Pineal gland
3. Pars nervosa
4. Adenohypophysis

Correct answer: 3. Pars nervosa

Explanation: Herring bodies or neurosecretory bodies are structures found in the posterior pituitary. They represent the terminal end of the axons from the hypothalamus, and hormones are temporarily stored in these locations. They are neurosecretory terminals. The hypothalamohypophyseal tract is composed of axons of the large neurosecretory cells of the supraoptic and paraventricular nuclei of hypothalamus. The fibres of this tract are unmyelinated and pass to posterior lobe of pituitary through the infundibular stem of hypothalamus and form a series of dilated terminals known as Herring bodies, which come in contact with the capillary bed of neurohypophysis. The neurosecretory cells of supraoptic and paraventricular nuclei secrete vasopressin (ADH) and oxytocin. Ref: guyton and hall textbook of medical physiology 12 edition page number: 559,560,561